oschner sherren regimen is used in ?
1. chronic pancreatitis
2. appendicular perforation
3. appendicular mass
4. apendicular abscess

Correct answer: 3. appendicular mass

Explanation: Management of appendicular mass Ochsner-Sherren regimen * Conservative treatment with * Nil by mouth * Ryle's tube aspiration * Antibiotic therapy * Cephalosporins * Atninoglycoside * Metronidazole * Recording of size of mass daily * Recording of TPR chart 4hourly * Input & output chart ref : bailey and love 27th ed